The following statements are true about intravenous route of drug administration EXCEPT
1. It is useful in emergencies
2. Aseptic precautions are required
3. Bioavailability is 100%
4. Suspensions can be administered

Correct answer: 4. Suspensions can be administered